Most sensitive index of transmission in leprosy is?
1. Incidence
2. Detection rate
3. Disability rate
4. Prevalence

Correct answer: 1. Incidence

Explanation: Ans. is 'a' i.e., Incidence Incidence rate It is the only index for measuring the effectiveness of the measures taken. It is the most sensitive index of transmission of the disease. Prevalence It provides a measure of the 'case-load'. It is useful in the planning of treatment services. The efficacy of the drug regimen is best indicated by relapse rate.